A chronic alcoholic has an elevated serum alpha fetoprotein levels. Which of the following neoplasms is most likely -
1. Prostatic adenocarcinoma
2. Multiple myeloma
3. Hepatocellular carcinoma
4. Glioblastoma multiforme

Correct answer: 3. Hepatocellular carcinoma

Explanation: Elevated levels of serum α-fetoprotein are found in 50 to 75% of patients with HCC.
False-positive results are encountered with yolk-sac tumors and many non-neoplastic conditions, including cirrhosis, massive liver necrosis, chronic hepatitis, normal pregnancy, fetal distress or death, and fetal neural tube defects such as anencephaly and spina bifida.
Concept
The staining for Glypican-3 is used to distinguish early hepatocellular carcinoma from a dysplastic nodule. Other tests cannot be used because the levels of serum α-fetoprotein are inconclusive in this condition.